Specific cell surface proteins, such as alkaline phosphatase, and lipoprotein lipase, are anchored to the cell membrane. This anchoring is accomplished by covalent binding through an oligosaccharide bridge to component of the cell membrane. This component is
1. Sphingomyelin
2. Phospphatidic acid
3. Phosphatidylserine
4. Phosphatidylinositol

Correct answer: 4. Phosphatidylinositol

Explanation: Phosphatidylinositol derivatives play several distinct roles in the cell membrane, one of which is that they anchor several cell surface proteins. Cell surface proteins bound to phosphatidylinositol are also found in several parasitic protozoa. By altering these proteins, these protozoa can change their antigenic properties and avoid immunosurveillance. Being attached via a telatively long chain to the membrane via phosphatidylinositol, rather than being a part of the membrane itself, allows these proteins lateral movement on the cell surface. The proteins can be cleaved from the membrane by the action of phospholipase C. The other compounds listed are also phospholipids, but they do not anchor proteins in the membrane.